Reactive arthritis is a result of exposure to all of the following, EXCEPT:
1. Chlamydia species
2. Campylobacter jejuni
3. Salmonella enteritidis
4. None of the above

Correct answer: 4. None of the above

Explanation: Reactive arthritis is an inflammatory condition that occurs after exposure to certain gastrointestinal and genitourinary infections, particularly Chlamydia species, Campylobacter jejuni, Salmonella enteritidis, Shigella, and Yersinia. Patients may give a history of an antecedent genitourinary or dysenteric infection 1 to 4 weeks before the onset of arthritis. Only a minority of these patients have the findings of classic reactive arthritis, including urethritis, conjunctivitis, uveitis, oral ulcers, and rash. Studies have identified microbial DNA or antigen in synovial fluid or blood, but the pathogenesis of this condition is poorly understood. Ref: Madoff L.C. (2012). Chapter 334. Infectious Arthritis. In D.L. Longo, A.S. Fauci, D.L. Kasper, S.L. Hauser, J.L. Jameson, J. Loscalzo (Eds), Harrison's Principles of Internal Medicine, 18e.